Basic rhythm of respiration is generated in-
1. Pneumotaxic centre
2. Dorsal group of nucleus
3. Apneustic centre
4. Pre-Botzinger Complex

Correct answer: 4. Pre-Botzinger Complex

Explanation: Ans. is 'd' i.e., Pre-Botzinger Complex Important facts about regulation of respiration* Medullary respiratory group of neurons are -i) Dorsal respiratory group (DRG)-Cancerned with inspirationii) Ventrol respiratory group (VRG)-Mainly cancered with faceful expiration, but also shows some activity during inspiration.iii) Pre - Botzinger complex:-Responsible for generation of respiratory rhythm.* Pontine respiratory centres are -i) Pneumotaxic center-.The primary function is to limit inspiration, i.e., to control the switch off point of inspiratory ramp and control of inspiratory depthii) Apneustic center-Excites inspiratory cener to prolong inspiration.